Which of these is not included in parenteral therapy?
1. Carbohydrates
2. Fibres
3. Fats
4. Micronutrients

Correct answer: 2. Fibres